Influenza belongs to
1. Orthomyxoviridae
2. Retroviridae
3. Herpes virus
4. Pox virus

Correct answer: 1. Orthomyxoviridae

Explanation: Orthomyxoviruses are medium-sized, 80 to 120-nm enveloped viruses exhibiting helical symmetry. The genome is linear, segmented, negative-sense, single-stranded RNA, totaling 10-13.6 kb in size. Segments range from 890 to 2350 nucleotides each. Orthomyxoviruses include influenza viruses that infect humans or animals.Ref: Jawetz, Melnick, & Adelberg's Medical Microbiology; Twenty-Seventh Edition; Chapter 29; General Properties of Viruses